Most common cause of maternal mortality -
1. Post partum hemorrhage
2. Eclampsia
3. Abortion
4. Infection

Correct answer: 1. Post partum hemorrhage

Explanation: Post pattum hemorrhage is the main cause of maternal deaths. It account for about 25%.REF. PARK'S TEXTBOOK OF PREVENTIVE AND SOCIAL MEDICAL 21ST EDITION. PAGE NO - 516